Malonate inhibits which enzyme of glycolysis
1. Aconitase
2. Alpha ketoglutarate dehydrogenase
3. Succinate dehydrogenase
4. Isocitrate dehydrogenase

Correct answer: 3. Succinate dehydrogenase

Explanation: Inhibitors
Enzyme Inhibited




Fluroacetate


Aconitase




Arsenite


Alpha Ketoglutarate dehydrogenase




Malonate


Succinate dehydrogenase



Succinate dehydrogenase is a competitive inhibitor of malonate.